Spores are formed by all except:
1. E. coli
2. B. anthrex
3. B. cerus
4. None

Correct answer: 1. E. coli

Explanation: Ans. a. E. coli